Small round cell tumors ?
1. Wilm's tumor
2. Retinoblastoma
3. Rhabdomyosarcoma
4. All

Correct answer: 4. All

Explanation: Ans. is 'd' i.e., All Small round blue cell tumors Histologically many of the malignant pediatric neoplasms are unique. They tend to have a more primitive (embryonal) rather than pleomorphic anaplastic microscopic appearance. Often characterized by sheets of cells with small round nuclei. Frequently exhibit features of organogenesis specific to the site of tumour origin (therefore these tumours are frequently designated by suffix - blastoma). Owing to their primitive histological appearance many childhood tumours have been collectively refered to as small round blue cell tumours. The differential diagnosis of small round blue cell tumours includes Neuroblastoma Rhabdomyosarcoma Retinoblastoma Wilms tumours Ewings sarcoma Medulloblastoma Lymphoma Primitive neuroectodermal tumours Burkitt lymphoma